What is the absolute neutrophil count in a patient with severe neutrophill depletion?
1. 100
2. 250
3. 500
4. 1000

Correct answer: 3. 500

Explanation: Absolute neutrophil count in severe neutropenia is less than 500 cells/ microL. Also know: In mild neutropenia, absolute neutrophil count is between 1000 to 1500 cells/microL. In moderate neutropenia, absolute neutrophil count is between 500 to 1000 cells/microL. In chronic neutropenia, absolute neutrophil count is less than 500 for more than 6 months. Neutropenic children are at greatest danger of developing infection with Staphylococci or with gram negative enteric organism. Ref: Oski's Pediatrics: Principles And Practice By Julia A. McMillan, 4th edn, page 1713